Methicilline resistance staph aureus NOT responds to
1. Aminoglycosides
2. Lincosamide
3. Oxacilli
4. Vancomycin

Correct answer: 3. Oxacilli

Explanation: (Oxacillin): (721-KDT 7th edition 396, 1070, 2069, 2135 - Harrison 18th)Oxacilline (Not marketed in India)CLOXACILLIN / DICLOXAC1LLIN - is highly penicellinase as well as acid resistant.More active than methicilline against penicillinase producing Staph but not against MRS AMethicilline resistant staph, aureus (MRSA) - These are insensitive to all penicillin- resistant penicillins (Methiciline, Cloxacilline, Dicloxacilline) and to Beta lactams as well as as to erythromycin, aminoglycosides, tetracyclines etc.* Drug of choice for these organism is vancomycin / linezolid but ciprofloxacin can also be used, Rifampin, Imipenem (362 - Lippintott's 4th)* Quinopristin / dalfopristin, Daptomycin and Linezolid are currently for the treatment of vancomycin resistant organism (370- Lippencott 4th)* Lincosamide antibiotics - Clindamycin, Lincomycin* Current recommendation for the treatment of community acquired MRSA. Atopic dermatitis is - Trimethoprim / sulfamethoxazole, minocycline-doxycycline or clindamycin (396- Harrison's 18th)Antibiotics for the treatment of osteomyelitis (1075 H 18th)* Methicilline susceptible Staph.aureus* Oxacilline or nafcilline* Cephalosporins* Clindamycin* Methiciline resistant S.aureus* Vancomycin* Daptomycin* Linezolid